Which among the following simple tests is used to measure/assess urethral hypermobility?
1. Office cystometry
2. Q tip test
3. Voiding diary
4. Postvoid residual urine

Correct answer: 2. Q tip test

Explanation: In Q tip test - A cotton swab is introduced into the urethra following which the patient is asked to perform valsalva manoeuver and the angle of urethra is assessed. An angle of excussion of > 300 from the horizontal indicates urethral hypermobility. Note:- Stress test can also be used to assess urethral hypermobility. Ref: Essentials of Gynaecology by Lakshmi Seshadri, Edition 1, page - 338.